Most common cause of primary hyperparathyroidism ?
1. Hyperplasia
2. Solitary Adenoma
3. Carcinoma
4. Multiple adenomas

Correct answer: 2. Solitary Adenoma

Explanation: Ans. is 'b' i.e., AdenomaHyperparathyroidismHyperparathyroidism is caused by elevated parathyroid hormone.Primary hyperparathyroidism : an autonomous overproduction of parathyroid hormone (PTH), usually resulting from an adenoma or hyperplasia of parathyroid tissue.